The most common cause of morbidity and mortality in patients undergoing major vascular surgery is –
1. Renal complications
2. Thromboembolic phenomenon
3. Coagulopathies
4. Cardiac complications

Correct answer: 4. Cardiac complications

Explanation: "Myocardial performance is the single most important determinant of outcome following a major vascular operation. "
"Non fatal and fatal MIs are the most important and specific outcomes that determine perioperative cardiac morbidity in patient for vascular surgery."